Which of the following stages of demographic cycle has declining population:
1. Second
2. Third
3. Fourth
4. Fifth

Correct answer: 4. Fifth

Explanation: Fifth stage (declining): Population begins to decline because the birth rate is lower than the death rate. Ref: Park, 22nd edition pg: 441